Which of the following act on a-2 receptors -
1. Rhenylephrine
2. Mitodrine
3. Clonidine
4. Methoxomine

Correct answer: 3. Clonidine

Explanation: Ans. is 'c' i.e., Clonidinea-2 agonistso These are:a) Apraclonidine and brimonidine are used in glaucoma.b) Dexmedetomidine is used as preanaesthetic medication and for sedation in critically ill/ventilated patient in ICU.c) Tizanidine is used as muscle relaxant in spaciticity.d) Clonidine and a methyldopa are used in hypertension. Other uses of clonidine are (i) preanaesthetic medication, (ii) diarrhea in diabetic neuropathy, (iii) analgesic, (iv) withdrawal syndrome of opoid, alcohol and nicotine, (v) prophylaxis of migrain, (vi) postmenopausal syndrome, (vii) suppression test for pheochromocytoma, and (viii) for treatment of ADHD.